Primitive streaks remnants give rise to:-
1. Neuroblastoma
2. Wilm's tumor
3. Sacrococcygeal teratoma
4. Hepatoblastoma

Correct answer: 3. Sacrococcygeal teratoma

Explanation: SACROCOCCYGEAL TERATOMA Teratomas occur most frequently in the neonatal period, sacrococcygeal region is the MC siteQ. TREATMENT Complete surgical excisionQ through a chevron-shaped buttock incision.